The most important channel of elimination of digoxin is:
1. Glomerular filtration
2. Tubular secretion
3. Hepatic metabolism
4. Excretion in bile

Correct answer: 1. Glomerular filtration

Explanation: Digoxin is primarily eliminated unchanged by glomerular filtration whereas digitoxin is eliminated by hepatic metabolism.